Genital Warts (condyloma accuminata) are most commonly caused by which of the following serotypes of HPV?
1. HPV 6
2. HPV 16
3. HPV 18
4. HPV33

Correct answer: 1. HPV 6

Explanation: A i.e. HPV - 6